Which of the following drugs inhibits post-translational modification of viral proteins?
1. Indinavir
2. Enfuvirtide
3. Lamivudine
4. Zalcitabine

Correct answer: 1. Indinavir

Explanation: - PROTEASE INHIBITORS inhibits post-translational modification of viral proteins.- These include drugs like: INDINAVIR RITONAVIR LOPINAVIR AMPRENAVIR FOS-AMPRENAVIR ATAZANAVIR (Lowest risk of Lipodystrophy syndrome but can cause hyperbilrubinemia) SAQUINAVIR NELFINAVIR - These are metabolized by CYP3A4 and are CYP3A4 inhibitors themselves (Ritonavir Boosting - boost the other inhibitors)- These drugs can cause LIPODYSTROPHY SYNDROME: | GLUCOSE | LIPIDS INSULIN RESISTANCE WT. GAIN. It is also caused by Atypical Antipsychotics.